Which of the following anti-glaucoma drugs can cause heterochromia iridis?
1. Timolol
2. Latanoprost
3. Apraclonidine
4. Acetazolamide

Correct answer: 2. Latanoprost

Explanation: Ans. (B) Latanoprost(Ref: Katzung 12th/e p328; KDT 8th/e p169)PGF2a agonists like Latanoprost can cause iris pigmentation (heterochromia iridis) and growth of eyelashes (liypertrichosis) as adverse effects.